In the etiology of dental caries, one of the following is
not an environmental factor
1. Saliva
2. Micro organisms
3. Refined carbohydrates
4. Structure of the tooth

Correct answer: 4. Structure of the tooth